In Burkitts lymphoma , translocation seen is chromosome
1. 12 -14 translocation
2. 8-14 translocation
3. 4-8 translocation
4. 12-18 translocation

Correct answer: 2. 8-14 translocation

Explanation: Ans. is 'b' 8-14 translocation Chromosomal translocations Associated Neoplasms8 - 14 -Burkitt's lymphoma*.Acute lymphocytic leukemia (FAB type L3) Immunoblastic B cell lymphoma*15-17 -Promyelocytic leukemia*4-11 -Acute lymphocytic leukemiaH-14 -Chronic lymphocytic leukemia14- 18 -Some B cell lymphomas6 - 14 -Cystadenocarcinoma of ovary3.8 -Renal adenocarcinoma*, mixed parotid tumour.